All of the following are absolute contraindications for neuraxial anaesthesia, EXCEPT:
1. Patient on anticoagulants
2. Fixed output state
3. Hypovolaemic shock
4. Bowel perforation

Correct answer: 4. Bowel perforation

Explanation: In patients on anticoagulants there is a risk of pressure damage to the cord from bleed/hematoma, so neuraxial anaesthesia is absolutely contraindicated. In shock and fixed output states there is effective reduction in circulating volume due to vasodilation, so neuraxial anaesthesia is again absolutely contraindicated. In bowel perforation there is a theoretical risk of increased parasympathetic activity, peristalsis and peritoneal soiling but is only a relative contraindication for all neuraxial anaesthesia. Ref: Oxford Handbook of Clinical Specialities, Edition 8, Page - 635